A woman in second trimester was found to have over distended uterus. Common causes include:
1. Wrong date
2. Hydramnios
3. Distended bladder and Twins both
4. All

Correct answer: 4. All

Explanation: Ans. is a, b, c and d i.e. Wrong date; Hydramnios; Distended bladder; Twins; and Fibromyoma In women with a uterus that appears large for gestational age, the following possiblities are considered: Multiple fetuses Elevation of the uterus by a distended bladder Inaccurate menstrual history Hydramnios Hydatidiform mole Uterine myomas A closely attached adnexal mass Fetal macrosomia (late in pregnancy).